Mechanism of action of clofibrate is ?
1. Inhibits HMG CoA reductase
2. Inhibit HMG CoA synthase
3. Inhibit absorption of cholesterol
4. Increased lipolysis of TGs

Correct answer: 4. Increased lipolysis of TGs

Explanation: Ans. is 'd' i.e., Increased lipolysis of TGs